Plasma cells are derived from?
1. T cells
2. B cells
3. Macrophages
4. Neutrophils

Correct answer: 2. B cells

Explanation: Plasma cells originate in the bone marrow; B cells differentiate into plasma cells that produce antibody molecules closely modeled after the receptors of the precursor B cell. Once released into the blood and lymph, these antibody molecules bind to the target antigen (foreign substance) and initiate its neutralization or destruction Reff: Ananthanarayanan & panikers textbook of microbiology 9th edition pg:135